Nuclear cataract is associated with:
1. Index myopia
2. Index hypermetropia
3. Axial myopia
4. Axial hypermetropia

Correct answer: 1. Index myopia

Explanation: NUCLEAR CATRACT